Which of the following is not a cause for neonatal jaundice manifesting for the first time in the second week:
1. Rhesus incompatibility
2. Hypothyroidism
3. Jaundice due to breast milk
4. Galactosemia

Correct answer: 1. Rhesus incompatibility

Explanation: Ans. A: Rhesus Incompatibility Jaundice appearing after 72 hours: Sepsis neonatorum' Neonatal hepatitis Extra hepatic biliary atresia Breast milk jaundice Metabolic disorders